Which of the following is cyst developed from reduced enamel epithelium:
1. Dentigerous cyst.
2. Radicular cyst.
3. Eruption cyst.
4. Both AC

Correct answer: 4. Both AC